Which of the following is a selective alpha 2 agonist
1. Clonidine
2. Prazosin
3. Adrenaline
4. Propranolol

Correct answer: 1. Clonidine

Explanation: Ref: HL Sharma 3rd ed pg No:178 Clonidine, methyldopa, apraclonidine, tizanidine are alpha 2 agonists they are centrally action- used to decrease BP, cause muscle relaxation etc